Blood supply of the tonsil is all except:
1. Ascending pharyngeal Artery
2. Sphenopalatine artery
3. Facial artery
4. Descending palatine artery

Correct answer: 2. Sphenopalatine artery

Explanation: Arterial supply of tonsil.